A vasopressin analogue does not produce therapeutic effect through vasopressin V-2 receptor in which one of the following -
1. Central diabetes insipidus
2. Bleeding esophageal varices
3. Type I von Willebrand's disease
4. Primary nocturnal enuresis

Correct answer: 2. Bleeding esophageal varices

Explanation: Ans. is 'b' i.e., Bleeding esophageal varices